what is Posada's fracture ?
1. Transcondylar fracture of humerus
2. Fracture lateral condyle of humerus
3. Fracture medial condyle of humerus
4. Fracture anatomical neck of humerus

Correct answer: 1. Transcondylar fracture of humerus

Explanation: Transcondylar fracture of the distal part of the humerus with associated dislocation (Posadas fracture) is rare. Stabilization of this fracture is often difficult because the distal fragments are small and are predominantly composed of impacted articular cartilage. Ref : essential orthopaedics maheshwari and mhaskar 9th ed